During development spleen lobulation is related to ?
1. Lateral
2. Superior
3. Inferior
4. None

Correct answer: 2. Superior

Explanation: Spleen develops as a collection of mesenchymal cells in the dorsal mesogastrium.Initially the splenic tissue is arranges as a number of lobules which later join together to form a single spleen. The notches in the superior border of adult spleen are representatives of growth that separated the lobules during fetal period.